All are true about hemophilia, except -
1. Increased Bleeding time (BT)
2. Decreased factor VIII
3. Decreased factor IX
4. Increased partial thromboplastin time (PTT)

Correct answer: 1. Increased Bleeding time (BT)